Lipodermatosclerosis is most commonly seen at ?
1. Anterior aspect of leg
2. Medial aspect of leg
3. Anterior aspect of thigh
4. Posterior aspect of thigh

Correct answer: 2. Medial aspect of leg

Explanation: Lipodermatosclerosis is chronic inflammation and fibrosis of skin and subcutaneous tissue, resulting in a woody leg, often affects calf muscles. So better answer is medial side of leg Feature of chronic venous disease. Reference: Bailey and love, 27th edition, page number 973,984.(part 10, vascular)